The chemical used to etch enamel is
1. Zinc oxide
2. methyl methacrylate
3. phosphoric acid
4. eugenol

Correct answer: 3. phosphoric acid